A person showing two cell lines derived from two different zygotes is known as
1. Chimerism
2. Mosaicism
3. Segregation
4. Pseudo dominance

Correct answer: 1. Chimerism

Explanation: A chimera is a single organism composed of cells from different zygotes it may occur by organ transplantation, giving one individual tissues that developed from to genomes Mosaicism describes The presence of two or more population of cells with different zenotypes in one individual, who has developed from a single fertilized egg Ref: Gray's 39e/p-1289